Lineweaver-Burk plot represents which of the following?
1. Oxygen dissociation
2. CO diffusion
3. Enzyme kinetics
4. Logarithmic index of DNA replication

Correct answer: 3. Enzyme kinetics

Explanation: Ans. is 'c' i.e., Enzyme kinetics Lineweaver Burk plot, also called double reciprocal plot repreasents lineweaver - burk eqvation of enzyme kinetics.It is used to determine the values of Vmax and Km.